Rocky mountain spotted fever is caused by -
1. Rickettsia rickettsii
2. Rochalimaea quintana
3. Rickettsia tsutsugamushi
4. Coxiella burnetii

Correct answer: 1. Rickettsia rickettsii

Explanation: Ans. is 'a' i.e., Rickettsia Rickettsi DiseaseAgentInsect vectorMammalian reservoir1.Typhus group a. Epidemic typhusR. prowazekiiLouseHumans b. Murine typhus (Endemic typhus)R. typhiFleaRodents c. Scrub typhusR. tsutsugamushiMiteRodents2.Spotted fever group a. Indian tick typhusR. conoriiTickRodents, dogs b. Rocky mountain spotted feverR. rickettsiiTickRodents, dogs c. Rickettsial poxR. akariMiteMice3.Others a. Q feverC. burnetiiNilCattle, sheep, goats. b. Trench feverRocholimaca quintanaLouseHumans